Tonsillectomy and Im injections should be aoided during polio epidemic because -
1. It is painful
2. It may lead to high grade fever
3. Risk of paralytic poliomyelitis increases
4. Risk of septicaemia

Correct answer: 3. Risk of paralytic poliomyelitis increases

Explanation: Repeat question